Ca prostrate develops from:
1. Peripheral zone
2. Transitional zone
3. Median lobe
4. Central zone

Correct answer: 1. Peripheral zone

Explanation: Ans: a (Peripherel zone) Ref; Bailey and Love, 24th ed, p. 1380,1381Prostrate is divided into 3 zones:Peripherel zone--mainly posteriorCentral zone--posterior to ureter and above the ejaculatory ductsPeriurethral zone-M.C site of BPH- Transitional site carcinoma- Peripherel zoneProstrate carcinoma spreads to bone via Batson venous plexus--through the internal vertebral plexus of veins.Staging of Ca prostrate:Tis - Carcinoma in situT1 - Incidentally found tumours, clinically benignT2 - Tumour palpable by DRE or visible by TRUS.T3 - Extra capsular extension with or without seminal vesicle involvement.T4 -Tumourextends into bladder, sphincter, rectum, pelvic wall etc.T1 and T2 (early disease)- curative treatment- radical prostactectomy or radical RT.T3 and T4 and mets (advanced disease)- palliative.Androgen ablation is the first line:1. Orchidectomy2. Medical castration3. Palliative radiotherapy.